Carpal tunnel syndrome can be caused by the following except -
1. Diabetes Mellitus
2. Amyloidosis
3. Addison's Disease
4. Hypothyroidism

Correct answer: 3. Addison's Disease

Explanation: Causes of carpal tunnel syndrome

There are many causes of carpal tunnel syndrome : -


idiopathic: - This is the most common cause.
Pregnancy and menopause
Metabolic : - Gout, Diabetes mellitus
Endocrine : - Hypothyroidism, Myxedema, Acromegaly, Hyperparathyroidism.
Deposition disorder : - Amyloidosis, Sarcoidosis, Rheumatid arthritis, Leukemia, CRF, Mucopolysaccharoidosis.
Alcoholism
Local causes: - Malunited Colle's fracture, osteoarthritis of the carpal bones, synovitis of flexor tendon sheath, hematoma.